Risk of endocarditis among the following is highest in
1. Ventricular septal defect
2. Patent ductus arteriosus
3. Atrial septal defect
4. Mitral stenosis

Correct answer: 1. Ventricular septal defect

Explanation: Risk of endocarditis - Ventricular septal defect > patent ductus arteriosus > Atrial septal defect.